45 year old alcoholic male came for deaddiction treatment. He has alcohol induced hepatitis with other blood parameters within normal limits. The drug that has to be given for the above patient for relapse prevention is
1. Disulfiram
2. chlordiazepoxide
3. Naltrexone
4. Acamprosate

Correct answer: 4. Acamprosate

Explanation: NALTREXONE is an OPIOID ANTAGONIST given at a dosage of 50-150mg, should not be used in LIVER DYSFUNCTION ACAMPROSATE is an GABA AGONIST given at a dosage of 666MG TDS, should not be used in KIDNEY DYSFUNCTION Ref.Kaplon and Sadock, synopsis of psychiatry, 11 th edition, pg no.626